Treatment for clostridial myonecrosis is :
1. Amikacin
2. Penicillin
3. Ampicillin
4. Gentamicin

Correct answer: 2. Penicillin